Period of disease initiation to disease detection is called
1. Window period
2. Generation period
3. Lead time
4. Latent period

Correct answer: 4. Latent period

Explanation: The term latent period is used in non-infective diseases; it's equivalent in infective diseases is known as incubation period. Ref: 25th edition, Park's Textbook of Preventive and Social Medicine, Page no. 107